M/C agent responsible for Ca cervix is:
1. HPV 16
2. HPV 18
3. HPV 31
4. HPV 36

Correct answer: 1. HPV 16